All of the following amino acids undergo transamination except?
1. Arginine
2. Alanine
3. Proline
4. Glycine

Correct answer: 3. Proline

Explanation: All the amino acids undergo transamination except : Proline Lysine Threonine Hydroxyproline Transamination reaction interconverts pairs of a-amino acids and a-keto acids. It is freely reversible and occurs a ping-pong mechanism. Pyridoxal phosphate (Vitamin B6) is the co-enzyme. It is important in the biosynthesis of non-essential amino acids. Reference: Harpers illustrated biochemistry 30th edition